Which is not a premalignant condition?
1. Bowens disease
2. Leukoplakia
3. Acanthosisnigricans
4. Solar keratosis

Correct answer: 3. Acanthosisnigricans

Explanation: ANSWER: (C) Acanthosis nigricansREF: Das text book of surgery 3rd edition page 104Premalignant conditions of oral cavity:LeukoplakiaErythroplakiaChronic hyperplastic candidiasisOral sub mucosal fibrosisSyphillitic glossitisSideropenic dysphagiaPremalignant condition of squamous cell carcinoma of skin:Bowen's diseaseSenile keratosisXeroderma pigmentosaSolar/actinic keratosisLong standing chronic ulcerLupus vulgaris